Fugal staining is done by:
1. Calcoflor white
2. Leishman stain
3. Z-N staining
4. None

Correct answer: 1. Calcoflor white

Explanation: Ans. a. Calcoflor white